Milroy's disease is
1. Edema due to filariasis
2. Congenital lymphedema
3. Lymphedema following surgery
4. Post cellulitic lymphedema

Correct answer: 2. Congenital lymphedema

Explanation: Congenital lymphedema or Milroy disease (10%), that is present at birth and associated with an autosomal dominant familial history